Characteristic pathological feature of pneumo coccal pneumonia -
1. Consolidation of airway
2. Interstitial pneumonitis
3. Increased eosinophils
4. Hilar lymphadenopathy

Correct answer: 1. Consolidation of airway